Calculate the prevalence if incidence is 2 cases per 1000 population oer year and mean duration is 4 years -
1. 8 cases per 1000 population
2. 2 cases per 1000 population
3. 0.5 cases per 1000 population
4. 32 cases per 1000 population

Correct answer: 1. 8 cases per 1000 population

Explanation: the relationship between incidence and prevalence can be calculated as,prevalence =incidence*mean duration ,here in this case it equals 2*4 that is 8 cases per 1000 population. ref:park's textbook of preventive and social medicine,22nd edition,pg no 58